A 6 year old male presents with irreducible hernia. He had a dnoron seducible hernia for 5 years prior to this. He had bowel movement while examination at surgery, a Richter's hernia was found which of the following is true
1. It contains meckel's diverticulam
2. It presents lateral to the rectus sheath
3. It may allow normal passage & stools
4. It present through obturator tomamen.

Correct answer: 3. It may allow normal passage & stools

Explanation: Richter's hernia is part of bowl wall entrapped in the hernial sac.
Leads to partial occlusion of lumen.
Bowel movements.